If starvation exceeds 7 days, the major nutritional supply of the brain comes from
1. Fatty acids
2. Ketone bodies
3. Protein breakdown
4. Carbohydrate breakdown

Correct answer: 2. Ketone bodies